Centroacinar cells are characteristic of
1. Liver
2. Kidney
3. Pancreas
4. Spleen

Correct answer: 3. Pancreas

Explanation: Pancreatic centroacinar cells. The regulator of both exocrine and endocrine function. Pour PM1. Author information Abstract The relationship between pancreatic centroacinar cells (CAC), the acinar cells, and the endocrine cells was examined in fetuses and newborn Syrian hamsters histologically, immunohistochemically, and electron microscopically. Pancreatic anlage, composed of undifferentiated cells and a few alpha cells, were found at day 12, delta cells at day 13, acinar cells at day 14, and beta cells at day 15 of the gestation. Ref: guyton and hall textbook of medical physiology 12 edition page number:414,415,416